Anti-D gamma globulin following first trimester abortion is -
1. 50mg
2. 100mg
3. 200mg
4. 300mg

Correct answer: 1. 50mg